A patient has complaint of seeing coloured holoes in the evening and blurring of vision for last few days with normal IOP -
1. Prodromal phase of acute angle closure glaucoma
2. Acute angle closure glaucoma
3. Chronic glaucoma
4. Epidemic dropsy

Correct answer: 1. Prodromal phase of acute angle closure glaucoma

Explanation: Coloured halos, blurring of vision and normal IOP suggest the diagnosis of latent PACG (Prodrome stage).